Cortical area controlling vestibular function is located in ?
1. Frontal lobe
2. Parietal lobe
3. Occipital lobe
4. All of the above

Correct answer: 2. Parietal lobe

Explanation: Ans. is'b'i.e., Parietal lobe [Rel Gray's Anatomy'E book p. j20)Information from the vestibular nuclei also reaches the cerebral cortex by way of thalamus (probably posterior parts of the ventroposterior complex and the medial pulvinar).The primary vestibular cortical area is located in the parietal lobe